The main mechanism of hyperpyrexia induced by atropine is?
1. Vasodilation
2. inhibition of sweating
3. Through central actions
4. Increase in basal metabolic rate

Correct answer: 2. inhibition of sweating

Explanation: Ref:KD Tripathi pharmacology 7th edition (page.no: 115) Rise in body temperature by Atropine occurs at higher doses. It is due to both inhibition of sweating as well as stimulation of temperature regulating centre in the hypothalamus.